In CT scan CT number ranges from:
1. 0 to 1000
2. -1000 to +1000
3. 0 to 100
4. -100 to +100

Correct answer: 2. -1000 to +1000

Explanation: “CT Scan” –  CT number ranges from – 1000 to +1000:

– 1000 = air    
0 = water
+ 1000 = bone (Dense)

CT number is  called “Housefield number”.